Which of the following is a protease inhibitor ?
1. Lamivudine
2. Saquinavir
3. Delavirdine
4. Zidovudine

Correct answer: 2. Saquinavir